All of the following are features of Goodpasture syndrome, except:
1. Antibody to alpha-3 chain of type IV collagen (COL4A3)
2. Glomerular basement membrane is involved
3. Pulmonary haemorrhage
4. Subendothelial IgG deposits in renal biopsy

Correct answer: 4. Subendothelial IgG deposits in renal biopsy

Explanation: Goodpasture syndrome Uncommon autoimmune disease in which kidney and lung injury are caused by circulating autoantibodies. Most common in 2nd & 3rd decades of life. Anti-GBM antibody-mediated disease Goodpasture syndrome applies to the 40% to 60% of patients with these autoantibodies who develop pulmonary hemorrhage in addition to renal disease. Characterized by linear deposits of IgG and, in many cases, C3 in the GBM. The antigen common to the alveoli and GBM is a peptide within the noncollagenous portion of the a3 chain of collagen type IV (COL4A3).